The relative risk of a disease measures the -
1. Strength of association between suspected cause and effect
2. Biological plausibility between suspected cause and effect
3. Temporal relationship between suspected cause and effect
4. Specificity of association between suspected cause and effect

Correct answer: 1. Strength of association between suspected cause and effect

Explanation: Defined as the ratio between the incidence among exposed persons and incidence among non exposed. A typical case-control study does not provide incidence rates from which relative risks can be calculated directly because there is no appropriate denominator or population at risk to calculate these risks. Ref: 25th edition, Park's Textbook of Preventive and Social Medicine, Page no. 86